Bennett's fracture-dislocation is associated with fracture of
1. Phalanx
2. Carpal
3. First metacarpal
4. Ulna

Correct answer: 3. First metacarpal

Explanation: Ans. c (First metacarpal) (Ref. Maheshwari orthopedics 4th/99)Bennett's fracture-dislocation# Oblique intraarticular fracture of the base of first metacarpal with subluxation/dislocation of the metacarpal.# It is sustained due to longitudinal force applied to the joint, usually from forced abduction of thumb.# Rx:- Closed manipulation and POP: succesful in cases of mild displacement.- Closed reduction and percutaneous fixation under X-ray control using K-wire- ORIF# Complications: OA (for rx excision of trapezium may be required).Other fractures of the thumbRolando fractureComminuted intra-articular fracture-dislocation of the base of thumb [proximal first metacarpa). It can be thought of as a comminuted Bennett fracture. Rx: reduction and immobilization in thumb spica for 3 weeks.Epibasal thumb fracture (pseudo Bennett's fracture dislocation)are two piece fractures of the proximal first metacarpal bone. They are usually stable, depending on the degree of displacement, and often do not require surgery. It is important to distinguish them from intra-articular fractures (e.g. Bennett's fracture dislocation or Rolando fracture) which are usually unstable and require surgery.Gamekeeper's thumb (doesn't always include a fracture)Gamekeeper's thumb is essentially synonymous with Skier's thumb, although the latter has a more acute injury connotation. It is an avulsion or rupture of the ulnar collateral ligament (UCL) of the thumb.